Secondary osteosarcoma are associated with -
1. Paget's disease
2. Osteogenesis imperfecta
3. Melhoreostosis
4. Ankylosing spondylitis

Correct answer: 1. Paget's disease

Explanation: Ans. is 'a' i.e., Paget's disease Causes of secondary osteosarcomao Pagets Diseaseo Fibrous dysplasiao Radiationo Enchondromatosiso Hereditary multiple exostosiso Chronic osteomyelitiso Bone infarction